Cough variant asthma is treated with?
1. ICS Low dose once a day
2. LABA once at night
3. SABA twice daily
4. Anti-tussive lozenges as an when required

Correct answer: 1. ICS Low dose once a day

Explanation: Cough variant asthma - Rx - ICS low dose once a day Because main enzyme is PLA2 produces leukotrienes and this PLA2 is inhibited by the use of steroids by the patient